The following are seen in chronic obstructive pulmonary disease (COPD) Except -
1. Hemoptysis
2. Cor Pulmonale
3. Pneumothorax
4. Aplastic anemia

Correct answer: 4. Aplastic anemia

Explanation: Chronic obstructive pulmonary disease (COPD) is a disease of the lung in which the airways become narrowed. This leads to a limitation of the flow of air to and from lungs causing shortness of breath.
COPD includes -


Emphysema
Chronic bronchitis
Small airway disease

Complication include:

Acute bronchitis
Pneumonia
Pulmonary hypertension
Cor pulmonale
Chronic respiratory failure
Spontaneous pneumothorax (in a fraction of patients with emphysema)
Hemoptysis (in chronic bronchitis)